Which of the following is best technique to detect protein structure
1. Electrophoresis
2. X-ray crystallography
3. Mass spectrometry
4. Chromatography

Correct answer: 2. X-ray crystallography

Explanation: X-ray crystallography is the best technique to detect protein structure.